Which of the immunoglobulins is present in the Peyer's patch?
1. IgM
2. IgG
3. IgA
4. IgD

Correct answer: 3. IgA

Explanation: IgA is the predominat immunoglobulin produced in Peyer's patches. IgA producing lymphocytes are more abundant in these tissues than in lymph nodes or spleen. The direct secretion of secretory IgA onto mucosal epithelia represents the major effector mechanism of mucosa-associated lymphoid tissue (MALT). IgA is the main immunoglobulin in secretions such as milk, saliva, and tears and in secretion; of the respiratory, intestinal, and genital tracts. It protects mucous membranes from attack of bacteria and viruses.